Which of the following is not the adverse effect of clomipramine?
1. Dryness of mouth
2. Seizures
3. Bradycardia
4. Metabolic acidosis

Correct answer: 3. Bradycardia

Explanation: Clomipramine is a TCA. Adverse effects of TCA - Ach block, alpha blockade, H1 blockade, seizures, arrhythmia, metabolic acidosis. These have anticholinergic property, so these will result in tachycardia